All are true about Nasal Glioma Except
1. IOC is MRI
2. Treated with surgical excision
3. Non pulsatile
4. Transilliminating

Correct answer: 4. Transilliminating